In which of the following infection 'strawberry cervix' is seen?
1. Trichomonas vaginalis
2. Chlamydia
3. Candida albicans
4. Herpes simplex

Correct answer: 1. Trichomonas vaginalis

Explanation: Multiple punctuate spot on the cervix gives it the appearance of a strawberry hence called so. This is due to capillary dilation as a result of the inflammatory response to Trichomonas vaginalis. Classically, with a cervical smear, infected women have a transparent "halo" around their superficial cell nucleus. T. vaginalis was traditionally diagnosed a wet mount, in which "corkscrew" motility was observed.